Movement across socioeconomic levels is termed as -
1. Social equlaity
2. Social upliftment
3. Social mobility
4. Social insurance

Correct answer: 3. Social mobility

Explanation: social mobility is movement in socio-economic stratus indian society based on caste system, so there is little mobility there are societies known as 'open class societies' where movement of the social ladder is unrestricted , it is on the basis of achievement or gaining wealth so here social mobility occur ref ;(page no;688) 23rd edition of PARK's textbook of Preventive and Social medicine